Virulence factor helpful for entamoeba histolytica to adhere to intestinal mucosa is
1. Lectin
2. Cystein protease
3. Amoebopore
4. Neuraminidase

Correct answer: 1. Lectin

Explanation: Amoebic Lectin antigen helps in adhesion.